In case of root fracture healing pattern of the fracture site can be all except:
1. Healing with calcified tissue
2. Healing with interproximal connective tissue.
3. Interproximal inflammatory tissue without healing.
4. None

Correct answer: 4. None

Explanation: Healing pattern of the fracture site:
1.Healing with calcified tissue.
2. Healing with interproximal connective tissues.
3. Healing with inter proximal bone by connective tissue
4. Interproximal inflammatory tissue without heating
First 3 patterns are considered success.